Strawberry vagina and PH > 4.5 of vagina is seen in:
1. E. histolytica
2. Giardia
3. Trichomonas
4. Toxoplasma

Correct answer: 3. Trichomonas

Explanation: Ans. is 'c' i.e., Trichomonas* Trichomonas vaginalis is vaginal flagellate causes strawberry vagina and PH > 4.5 and grows on Bushley, Johnson and trussel media.